The primary pathology in Athletic Pubalgia is -
1. Abdominal muscle strain
2. Rectus femoris strain
3. Gluteus medius strain
4. Hamstring strain

Correct answer: 1. Abdominal muscle strain

Explanation: Athletic bubalgia refers to chronic pain in the inguinal or pubic region in athletes that is noted primarily on exertion.
The primary site of pathology is the insertion of rectus abdominis on the pubis.